Stroke output of each ventricle in normal adult is:
1. 30 ml
2. 130 ml
3. 70 ml
4. 5 liters

Correct answer: 3. 70 ml